Which of the following statements refers to propaganda?
1. Appeals to emotion
2. Develops individuality
3. The process is behaviour centred
4. Makes people think for themselves

Correct answer: 1. Appeals to emotion

Explanation: Ans. is 'a' i.e., Appeals to emotion o Propaganda is neutrally defined as a systemic form of purposeful persuasion that attempts to influence emotions, attitudes, opinions and actions of specified target audiences for ideological, political or commercial purposes through the controlled transmission of one-sided messages mass and direct media channels.